In a patient with Anti-Phospholipid Antibody syndrome, which of the following treatment is used to prevent further abortions?
1. Aspirin + LMWH
2. Corticosteroids
3. IV immunoglobulins
4. Plasmapheresis

Correct answer: 1. Aspirin + LMWH

Explanation: Ans. a. Aspirin + LMWH